The gene involved in Rett's syndrome is ______
1. P53
2. Rb
3. MeCP2
4. FGFR3

Correct answer: 3. MeCP2

Explanation: The gene involved in Rett's syndrome is MeCP2 gene located in X chromosome (Xq28 predominantly of paternal origin) Rett's Syndrome: Almost always affects girls (X-linked dominant) Development may proceed normally until 1 year of age After 1 year of age, rapid progressionn in language and hand skills, motor milestones, and accquired microcephaly become apparent Clinical features can include repetitive hand wringing movements, ataxia, breathing dysfunction, bruxism, scoliosis, austistic behavior, and profound intellectual disability Autistic behavior is a typical finding in all patients Ref: Nelson textbook of pediatrics 21st edition Pgno: 3193